Which of the following sign is seen in intrauterine fetal demise:
1. Von Braun-Fernwalds sign
2. Roberts sign
3. Goodellssign
4. Osiandersign

Correct answer: 2. Roberts sign

Explanation: Ans. (b) Robert signRef. Dutta's Obstetrics 7th edj 324* Robert's sign refers to the presence of a gas shadow within the heart or the greater vessels, in cases of fetal death.# It is a rare sign caused by postmortem blood degeneration, usually seen 1-2 days after death* Spalding sign: Overlapping of skull bone. Also a sign of fetal demise.* Goodell's sign: softening of the vaginal part of the cervix during the first trimester* Von Braun-Fernwald's sign: softening of the uterine fundus at the site of implantation at 4-5 weeks gestation.* Osciander sign: increased pulsation at lateral fornices of vagina seen at ~ 8th week of pregnancy.Also KnowRobert Pelvis: aka transversely contracted pelvis. Ala of both the sides are absent and sacrum is fused with innominate bones.